Corporobasal index is useful for determination of-
1. Race
2. Age
3. Stature
4. Sex

Correct answer: 4. Sex